The radial head is dislocated and the proximal third of the ulna is fractured. Select the type of fracture or dislocation with which it is most likely to be associated (SELECT 1 INJURY)
1. Navicular (scaphoid) fracture
2. Monteggia's deformity
3. Greenstick fracture
4. Spiral fracture

Correct answer: 2. Monteggia's deformity

Explanation: Fractures of the navicular bone of the wrist should be suspected in anyone, particularly a young person, who falls on an outstretched hand. Although x-rays are mandatory, it is important to realize that the fracture may not be seen on the initial x-ray and that a presumptive diagnosis can and should be made on clinical grounds alone. Typically, there will be tenderness to palpation over the navicular tuberosity and limitation of wrist flexion and extension. Immobilization of the wrist for about 16 week and sometimes up to 6 month is required. Nonunion or avascular necrosis is not uncommon and may require bone grafting for correction.Dislocation of the radial head with a fracture of the proximal third of the ulna is known as Monteggia's deformity. Usually, the radial head is dislocated anteriorly. The injury is usually caused by forced pronation. The injury can be treated by reduction and stabilization of the ulna followed by reduction of the radial head via supination and direct pressure.Anterior shoulder dislocations occur more frequently than posterior dislocations. However, posterior dislocations are seen in special situations, such as during an epileptiform convulsion and during electroshock therapy. Closed reduction followed by immobilization is usually sufficient therapyA spiral fracture, frequently seen in the tibia in skiers, results from the application of torque to a long bone. Greenstick fractures are common in children. The bones of young children are able to bend to a greater degree than those of adults; the fracture may occur only at the site of maximal cortical stress but not at the opposite cortex, the site of maximal longitudinal compression.